Clubbing is the least common in
1. Squamous cell carcinoma
2. Small cell carcinoma
3. Adenocarcinoma
4. Mesothelioma

Correct answer: 2. Small cell carcinoma

Explanation: Skeletal connective tissue syndrome including clubbing is usually not seen in small cell carcinoma. Ref Harrison 19th edition pg 250